Features of pyramidal tract lesion are all except
1. Clasp knife rigidity
2. Involuntary movements
3. Positive Babinski sign
4. Exaggerated reflexes & increased tone

Correct answer: 2. Involuntary movements

Explanation: Babinski sign is the sure sign of pyramidal tract/corticospinal lesion.
Spasticity and exaggerated tendon reflexes are due to extrapyramidal lesions. 
Since pyramidal lesion occurring alone is rare, extrapyramidal lesions also may be seen. 
Rigidity seen is clasp knife type.